Following cardiac surgery a patient developed sudden hypotension, raised central venous pressure, pulsus paradoxus at the 4th post operative hour. The patient is suffering from?
1. Excessive mediastinal bleeding
2. Ventricular dysfunction
3. Congestive cardiac failure
4. Cardiac tamponade

Correct answer: 4. Cardiac tamponade

Explanation: Cardiac tamponade is characterized by Beck's triad 1. Hypotension 2. Jugular venous distension 3. Soft or absent cardiac sounds Pulsus paradoxus is also described in Cardiac tamponade. In excessive mediastinal bleeding there will not be, raised central venous pressure and pulsus paradoxus. Other features of Cardiac tamponade are prominent x descent absence of Kussmaul's sign, low voltage complexes and electrical alternans in ECG. Pulsus paradoxus is not seen in Ventricular dysfunction and Congestive cardiac failure Ref: Harrisons principles of internal medicine, 18th edition, Page: 1972